Intraocular calcification is seen in:
1. Malignant melanoma of the ciliary body
2. Retinoblastoma
3. Malignant melanoma of the choroid
4. Malignant melanoma of the iris

Correct answer: 2. Retinoblastoma

Explanation: Ans. B i.e. Retinoblastoma